Autoimmune thyroiditis is associated with all except?
1. DM
2. Mysthenia gravis
3. SLE
4. Psoriasis

Correct answer: 4. Psoriasis

Explanation: Ans. is 'd' i.e., Psoriasis Hashimotos Thyroiditis ? Hashimoto's thyroiditis is an autoimmune disorder. It is the most common cause of primary hypothyroidism It mainly affects middle aged females Although it is primarily a disease of the middle aged females, it can occur in children and is a major cause of nonendemic goitre in children. Pathogenesis ? Hashimoto's thyroiditis is an autoimmune disorder characterized by the presence of following IgG antibodies - 1. Antithyroglobulin antibody 3. Antibody directed against a component of colloid 2. Antimicrosomal antibody 4. Antibody against TSH receptors These antibodies do not correlate with severity of disease. They have a diagnostic value Autoimmune thyroiditis (Hashimoto thyroiditis) patients are at increased risk for developing other autoimmune disease : - Endocrine : Type 1 DM, autoimmune adrenalitis. Non-endocrine : SLE, mysthenia gravis, sjogren syndrome. These patients are also at increased risk for development of B-cell non-Hodgkin lymphoma, especially marginal cell lymphoma of MALT lymphoma.